Most common variant of carcinoma breast among the following is
1. Invasive lobular carcinoma
2. Invasive ductal carcinoma
3. Tubular carcimoma
4. Medullary carcinoma

Correct answer: 2. Invasive ductal carcinoma

Explanation: Invasive Epithelial Cancers (Percentage of Total)Invasive lobular carcinoma (10%)Invasive ductal carcinomaInvasive ductal carcinoma, not otherwise specified (50%-70%)Tubular carcinoma (2%-3%)Mucinous or colloid carcinoma (2%-3%)Medullary carcinoma (5%)Invasive cribriform carcinoma (1%-3%)Invasive papillary carcinoma (1%-2%)Adenoid cystic carcinoma (1%)Metaplastic carcinoma (1%)Ref: Sabiston 20e, page: 837